A 55 year old male presented with history suggestive of FUO. He had mutiple firm discrete cervical lymphadenopathy. Serum angiotensin converting enzyme was elevated in this patient. It point to the diagnosis of:
1. Non hodgkins lymphoma
2. Kikuchi disease
3. Sarcoidosis
4. Chronic lymphocytic leukemia

Correct answer: 3. Sarcoidosis

Explanation: Elevated level of serum angiotensin converting enzyme may point to the diagnosis of sarcoidosis in patients with FUO and lymphadenopathy. Ref: Harrison, Edition-18, Page-162.